Irresistible urge to drink alcohol is called?
1. Kleptomania
2. Pyromania
3. Dipsomania
4. Trichotillomania

Correct answer: 3. Dipsomania

Explanation: Ans. is 'c' i.e. Dipsomania * Dipsomania is characterized by periodic bouts of uncontrollable craving for alcohol.* The crisis lasts from one day to two weeks and consists of a rapid and massive ingestion of alcohol consumption. It involves solitary alcohol abuse, with loss of all other interests. These crises recur at indeterminate intervals, separated by periods when the subject is generally sober and may even manifest repugnance for alcohol and intense remorse over his or her conduct.* Alcoholism and dipsomania are not interchangeable; Alcoholism is an addiction or a dependency on alcohol. Dipsomania is a type of alcoholism which is characterized by periodic bouts of uncontrollable craving for alcohol and includes periods of sobriety.